To assess the perfusion in a free flap, the best technique is:
1. Pulse oximetry
2. Laser Doppler velocitometry
3. Fluorescine and dermal flumetry
4. Prick test

Correct answer: 4. Prick test

Explanation: "Clinical observation with prick test remains the gold standard for monitoring flap perfusion.